Color of postmortem lividity in hypothermic deaths:
1. Purple
2. Deep red
3. Cherry red
4. Bright pink

Correct answer: 4. Bright pink

Explanation: Ans. Bright pink